In which of the following conditions Berlin's edema is seen -
1. Open angle glaucoma
2. After cataract surgery
3. After concussional trauma
4. Diabetic retinopathy

Correct answer: 3. After concussional trauma

Explanation: Berlin's oedema, also called comnzotio retinae, occurs in blunt trauma to eye. It manifests as milky white cloudiness involving a considerable area of the posterior pole with a 'cherry-red' spot in the foveal region.